Pincer grasp develops at:
1. 5-7 months
2. 9-12 months
3. 1-2 years
4. 8-9 months

Correct answer: 2. 9-12 months

Explanation: (9-12 months) (46-G) (28-Ghai 7th)* Palmar grasp - by 7 months* Pincer grasp with the index finger and thumb apposition is acquired by 9 - 10 months* He can transfer objects from one hand to the other by 5 - 7 month.* Imitates scribblang : tower of 2 blocks - 15 months* Scribbles : tower of 3 blocks - 18 month